Dobutamine is preferred over dopamine in cardiogenic shock because of its effect related to:
1. Better cardiac stimulation
2. Less peripheral vasoconstriction
3. Lower risk of cardiac arrhythmias
4. More CNS stimulation

Correct answer: 2. Less peripheral vasoconstriction